SARS causative agent -
1. Corona-virus
2. Picorna-virus
3. Myxovirus
4. Retrovirus

Correct answer: 1. Corona-virus